Linitis plastica is seen in
1. Carcinoma of liver
2. Carcinoma stomach
3. Carcinoma lung
4. Carcinoma esophagus

Correct answer: 2. Carcinoma stomach

Explanation: (Carcinoma stomach) (557-Harsh Mohan 6th ,786-Robbin-Pathologic-Basis of disease 8th)Leather bottle appearance termed linitis plastica seen in gastric adenocarcinoma. Breast and lung cancers that metastasize to the stomach may also creat a linitis plastica- like appearanceSCIRRHOUS CARCINOMA (Linitis plastica) - the stomach wall is thickened due to extensive desmoplasia giving the appearance as 'leather-bottle stomach' or 'linitis plastica, The lumen of the stomach is reduced. There are no ulcer but rugae are prominent (mother-of-pearl in appearance)* Gastric carcinoma is most commonly located into region of gastric canal (prepyloric region)**_* Ulcerative carcinoma*** is the most common pattern* Most common complication of gastric cancer is haemorrhage (haematemesis or melaena)* Pre malignant changes in gastric mucosa(i) Hypo or achlorhydria in atrophic gastritis of gastric mucosa with intestinal metaplasia***(ii) Adenomatous (neoplastic) polyp of the stomach(iii) Chronic gastric ulcer (Ulcer-cancer) and its association with achlorhydria(iv) Stump carcinoma in patients who have undergone partial gastrectomy* Superficial spreading or 'early' gastric cancer-confined to the mucosa or sub mucosa (with or without lymph node metastasis) are associated with an excellent prognosis* Trossier's si2n - The metastasis through lymphatic spread presents as left supraclavicular lymphnode enlargement* The depth of invasion and the extent of nodal and distant metastasis at the time of diagnosis remain the most powerful prognostic indicators for gastric cancers (786- Robbins- Basis of disease 8th)* Most common cause of gastric outlet obstruction in India is - Carcinoma stomach*** Sister Mary Joseph nodule (Metastatic involvement of the para umbilical nodes*** is most commonly seen with stomach carcinoma)* Early gastric cancer. Defined as a primary lesion confined to the mucosa and submucosa with or without lymph node metastasis*** There is one dictum that "Anterior ulcer perforates & posterior ulcer bleeds"* Stomach reveal fat-laden cells in post gastrectomy**** Watermelon stomach is seen in Scleroderma* Blood group A is associated with(i) Carcinoma stomach, cervix, salivary gland & pancreas(ii) Pernicious anemia(iii) Thrombosis in OCP users